Wernicke's encephalopathy can be prevented by :
1. IV saline
2. Large amounts of glucose
3. Thiamine supplement
4. Imipramine

Correct answer: 3. Thiamine supplement

Explanation: Prevention, as well as treatment of Wernicke's encephalopathy, is thiamine.
Wernicke's encephalopathy is due to deficiency of thiamine → Eary thiamine supplementation during treatment of malnutrition can prevent Wernicke's encephalopathy.
Wernicke's encephalopathy is treated by large doses of parenteral thiamine, which is believed to be effective in preventing the progression into Korsakoff's syndrome.